Which of the following is not involved in colour vision?
1. Geniculate layer 3-6
2. P pathway
3. Area V3A of visual cortex
4. Area V8 of visual cortex

Correct answer: 3. Area V3A of visual cortex

Explanation: Ans: c (Area V3 A of visual cortex) Ref: Ganong, 22nd ed, p. 164This is a direct pick from the questions given for self study in Ganong (Chapter 8, Q.no: 8)Area V3A of visual cortex is concerned with motion.Area V8 is uniquely concerned with vision in human beings.Functions of visual projection areas in human brain:V1: Primary visual cortex receives input from LGB; begins processing.V2, V3, Vp: Continued processingMT/ V5: Motion, control of movementL0: Large object recognitionRemember:# Primary colours - red, blue, green.# Young Helm Holtz theory is concerned with colour vision# Inheritance of colour blindness X recessive